The most common systemic association of scleritis is –
1. Ehlers – Danlos syndrome
2. Disseminated systemic sclerosis
3. Rheumatiod arthritis
4. Giant cell arteritis

Correct answer: 3. Rheumatiod arthritis

Explanation: "When a patient comes to an ophthalmologist with scleritis, RA must be considered, because it is the most common cause of scleritis (and episcleritis)".
— The cornea by Dohlman